Dengue virus belongs to the "family" of:
1. Alphaviridae
2. Reoviridae
3. Flaviviridae
4. Bunyaviridae

Correct answer: 3. Flaviviridae

Explanation: Flaviviridae